Increased susceptibility to breast cancer is likely to be associated with a mutation in the following gene -a) P53 b) BRCA-1 c) Retinoblastoma (Rb)  d)  H-Ras
1. ab
2. bc
3. ad
4. bd

Correct answer: 1. ab